A 11-year-old patent wearing full-banded orthodontic appliance has inflamed gingiva. The family dentist should
1. Encourage better oral hygiene
2. Perform deep scaling and curettage
3. Perform gingivoplasty after debanding
4. Ask orthodontist to remove the bands so that healing can occur

Correct answer: 1. Encourage better oral hygiene